Ribosome has following enzymatic activity?
1. Peptidyl transferase
2. Peptidase
3. Aminoacyl tRNA synthetase
4. GTPase

Correct answer: 1. Peptidyl transferase

Explanation: Ans. is 'a' i.e. Peptidyl transferase Ribosomes are large complexes of protein and rRNA. They consist of two subunits-one large and one small whose relative sizes are generally given in terms of their sedimentation coefficients, or S (Svedberg) values i.e. one 60S and one 40S subunits forming an 80S ribosome. Eukaryotic ribosomes contain 4 molecules of rRNA.Peptidyl transferase activity is the main and seemingly the only enzymatic function of the ribosomes. It is responsible for the formation of peptide bonds during polypeptide elongation of protein synthesis.Peptidyl transferase activity is intrinsic to the 23S rRNA found in the 60s ribosomal subunit. As this rRNA catalyzes the reaction, it is referred to as a ribozyme.